Injury to the cranial nerve VIII affects the following function in the body?
1. Taste
2. Equilibrium
3. Touch
4. Smell

Correct answer: 2. Equilibrium

Explanation: CN VIII (vestibulocochlear nerve) originates from the grooves between the pons and the medulla oblongata. CN VIII divides into the cochlear branch to the cochlea (hearing) and the vestibular branch to the semicircular canal (equilibrium). Injury to CN VIII can result in ipsilateral deafness, tinnitus (ringing in the ear), and vertigo (loss of balance). Ref: Morton D.A., Foreman K.B., Albertine K.H. (2011). Chapter 17. Cranial Nerves. In D.A. Morton, K.B. Foreman, K.H. Albertine (Eds), The Big Picture: Gross Anatomy.